A 2 year old child has a weight of 6.4 kg. and has vitamin A deficiency. What is the grade of malnutrition in this child –
1. First degree
2. Second degree
3. Third degree
4. Fourth degree

Correct answer: 3. Third degree

Explanation: Normal expected weight at 2 years of age is 12 kg.
This child has a weight of 6.4 kg. i.e. 53.3% of the expected.
So, this child is having grade III(51- 61 % of expected weight) malnutrition.